What do the semicircular canals detect ?
1. Linear acceleration
2. Angular acceleration
3. Speed
4. Balance

Correct answer: 2. Angular acceleration

Explanation: Ans, is 'b' i.e., Angular acceleration Semicircular canalso 3 in number - lateral, posterior and superior and lie in planes at right angles to each other,o Each canal has an ampuliated end which opens independently into the vestibule. The non ampullated ends of the posterior and superior canals unite to form a common channel, called the crus commune.o Thus, the 3 canals open into the vestibule by 5 openings,o They respond to angular acceleration and deceleration.o The one wrhich lies at right angles to the axis of rotation is stimulated the most,o The ampullated ends contain the receptors for angular acceleration, called the crista ampullaris.Utricle and sacculeo The utricle receives the 5 openings of 3 semicircular canals.o The sensory epithelium of the utricle is called the macula and is concerned with linear acceleration and deceleration.o Saccule has similar function.